A 'Malignant pustule' is a term used for :
1. An infected malignant melanoma
2. A carbuncle
3. A rapidly spreading rodent ulcer.
4. Anthrax of the skin

Correct answer: 4. Anthrax of the skin

Explanation: Ans. is 'd' i.e. Anthrax of the skin The lesion in the cutaneous anthrax is k/a malignant pustuleCutaneous anthrax follows the entry of the infection through the skinUsual sites are face, neck, hands, arms and backThe lesion starts as papule, then becomes vesicular. Finally a painless*, round black lesion with a rim of edena is formed. This lesion is called malignant pustule.Cutaneous anthrax generally resolves spontaneously but 10-20% of untreated patients develop fatal septicemiaCutaneous anthrax is also known as 'Hide porter's disease'* (because it was common in dock workers carrying loads of hides and skins on their bare backs)More about Anthrax.Anthrax is a zoonosis caused by Bacillus anthracisIt is of 3 typesCutaneous anthraxPulmonary anthraxAlso called Wool Sorter's disease* because it is common in workers in wool factories due to inhalation of dust.It leads to hemorrhagic pneumonia. Can also cause hemorrhagic meningitis.Intestinal anthraxMost common* form of anthrax - cutaneous anthraxMost rare* form of anthrax - Intestinal anthraxMost fatal* form of anthrax - Pulmonary anthraxVirulence factors for Bacillus anthrax*Capsular polypeptide (controlled by plasmids)*Anthrax toxin - Composed of three fractionsEdema factor (EF or factor I)*Protective antigen factor (PA or factor II)*Lethal factor (LF or factor III)*(Remember: anthrax toxin is also mediated by plasmids)